Iodized salt in iodine deficiency control programme is?
1. Primary prevention
2. Secondary prevention
3. Teriary prevention
4. None

Correct answer: 1. Primary prevention

Explanation: Ans. is 'a' i.e., Primary prevention Fortification of food e.g. iodized salt is primary prevention.